A 7-year-old girl with a complaint of generalized swelling of the body. Urinary examination reveals grade 3 proteinuria and the presence of hyaline and fatty casts. She has no history of hematuria. Which of the following statements about her condition is true?
1. No IgG deposits or C3 deposition on renal biopsy
2. Her C3 level will be low
3. IgA nephropathy is the likely diagnosis
4. Alport's syndrome is the likely diagnosis

Correct answer: 1. No IgG deposits or C3 deposition on renal biopsy

Explanation: Ig and C3 deposits are seen in RPGN